Medusahead colonies on nutrient agar point the diagnosis of infection with
1. Bacillus anthracis
2. Bacillus cereus
3. Anthracoid bacilli
4. Clostridium per fringes

Correct answer: 1. Bacillus anthracis

Explanation: Bacillus anthracis-medusa hair appearance like growth on nutrient agar Ref: Textbook of Microbiology Baveja 5th ed Pg 220